Foramen of Winslow is posteriorly related to?
1. Duodenum
2. Liver
3. Pancreas
4. IVC

Correct answer: 4. IVC

Explanation: Ans. d (IVC). (Ref. BD Chaurasia, Human Anatomy-Vol II, 3rd ed., 76)Foramen of Winslow/Epiploic foramen/Aditus to lesser sac# It is a vertical slit-like opening through which lesser sac communicates with greater sac# It is situated behind right free margin of lesser omentum at level of T2.# Boundaries:BordersEpiploic foramenAnteriorlyRight free margin of lesser sac omentum(containing portal vein, hepatic artery & bile duct)PosteriorlyIVC, suprarenal gland & T12 vertebraSuperiorlyCaudate process of liverInferiorly1st part of duodenum & horizontal part of hepatic artery.# Internal hernia into lesser sac can occur through it.